Derealisation and depersonalization are seen in which type of disorder
1. Dissociative disorder
2. Personality disorder
3. Mania
4. Somatoform disorder

Correct answer: 1. Dissociative disorder

Explanation: Derealization: Sensation of changed reality or that one's surroundings have altered. Usually seen in schizophrenia, panic attacks, and dissociative disorders Depersonalization: Sensation of unreality concerning oneself, parts of oneself, or one's environment that occurs under extreme stress or fatigue. Seen in schizophrenia, depersonalization disorder, and schizotypal personality disorder Reference: P.923 7.3 Signs and Symptoms in Psychiatry